Black scab is formed at
1. 4-5 days
2. 6-7 days
3. Less than 24 hours
4. After 7-10 days

Correct answer: 2. 6-7 days

Explanation: Age of abrasion Less than 24 hours bright red - reddish scab 2-3 days reddish- brown scab 4-5 days dark brown scab 6-7 days black scab ref: FORENSIC MEDICINE AND TOXICOLOGY Dr PC IGNATIUS THIRD EDITION PAGE 114